Lugol's Iodine contains?
1. 5 % iodine & 10 % KI
2. 10 % iodine & 20 % KI
3. 10 % iodine & 15 % KI
4. 5 % iodine & 15 % KI

Correct answer: 1. 5 % iodine & 10 % KI

Explanation: ANSWER: (A) 5 % iodine 8t 10 % KIREF: KDT 6th edition page 252, http://en.wkipedia.org/TAriki/Lugol%27s_iodine"LugoTs iodine, also known as Lugol's solution, first made in 1829, is a solution of elemental iodine and potassium iodide in water, named after the French physician J.G.A. Lugol. The 5% solution consists of 5% (wt/v) iodine (I2) and 10% (wt/v) potassium iodide (KI) mixed in distilled water and has a total iodine content of 130 mg/mL"